Breslaus second life test is done on which organ?
1. Lungs
2. Skin
3. Stomach and intestines
4. Brain

Correct answer: 3. Stomach and intestines

Explanation: Breslau's second life test or stomach bowel test is used to detect presence of air in the stomach and intestine (which float in water if double ligated). Other tests for live birth: Fodere's test (static test): Weight of lungs is 30 g in still born and 60 g in live born. Ploquet's test: Weight of lungs to body (wt of lungs increase after live birth due to blood flowing in them). 1:70 in unrespired lung and 1:35 in respired lung. Wredin's test: Air is present in the middle ear with respiration. Raygat's test (hydrostatic floatation test): Lungs float if child has respired.